True about inferior vena cava:
1. Passes through diaphragm at level of Du veebra
2. Rt. Suprarenal aery directly drains to it.
3. It lies anterior to the renal vein.
4. It forms the posterior wall of the epiploic foramen.

Correct answer: 4. It forms the posterior wall of the epiploic foramen.

Explanation: D. i.e. It forms posterior wall of epiploic foramenRight free margin of lesser omentum containing poal vein, hepatic aery & bile duct are situated anteriorly; and Suprarenal gland (right), Inferior vena cava, & T12 veebra ("SIT" structures) are related posteriorly to Epiploic foramen